Not a Contraindication for lap cholecystectomy
1. Acute cholecystitis
2. Cancer Gallbladder
3. Portal Hypertension
4. Bleeding Diathesis

Correct answer: 1. Acute cholecystitis

Explanation: Ans. (a) Acute CholecystitisRef: Blumgart 5th edition Page 514* Acute cholecystitis, the treatment of choice is Lap Cholecystectomy.* In other conditions surgery should be done by Open method.Contraindications to Laparoscopic cholecystectomy Absolute# Unable to tolerate general anesthesia# Refractory coagulopathy# Suspiciion of carcinomaRelative# Previous upper abdominal surgery# Cholangitis# Diffuse peritonitis# Cirrhosis or portal hypertension# Chronic obstructive pulmonary disease# Cholecystenteric fisula# Morbid obesity# Pregnancy